A 9 yr old child came to the dental clinic with spacing in
anterior teeth. The line of treatment is
1. Fixed appliance
2. Removable appliance
3. Inclined plane
4. No treatment, observation of patient

Correct answer: 4. No treatment, observation of patient